Otoconia is related to
1. Hearing
2. Balance
3. Smell
4. Taste

Correct answer: 2. Balance

Explanation: Otoconia are bio-crystals which couple mechanic forces to the sensory hair cells in the utricle and saccule, a process essential for us to sense linear acceleration and gravity for the purpose of maintaining bodily balance. In fish, structurally similar bio-crystals called otoliths mediate balance Ref : Internet sources.